Which of the following is not true about plasma protein binding?
1. Free fraction of the drug is pharmacologically active
2. Acidic drugs generally bind to plasma albumin
3. There is no effect of nephrotic syndrome on plasma protein binding
4. Prazocin is bound to alpha 1 acidic glycoprotein

Correct answer: 3. There is no effect of nephrotic syndrome on plasma protein binding

Explanation: Ans. is 'c' i.e., There is no effect of nephrotic syndrome on plasma protein binding Plasma protein binding* Many natural substances circulate around the body partly free in plasma water and partly bound to plasma proteins, e.g. cortisol, thyroxine.* Similarly drugs circulate in protein bound and free states, and the significance is that the free fraction is pharmacologically active whereas the protein bound component is a reservoir of drug that is inactive because of this binding.* Acidic drugs generally bind to plasma albumin.* Basic drugs bind to al acid glycoprotein.* Binding to albumin is quantitatively more important.Drugs bound to plasma protein To albumin To a, acid glycoprotein* Barbiturates * Penicillins* b- blockers* Methadone* Benzodiazepines (Diazepam)* Sulfonamides* Bupivacaine* Prazosin* NSAIDS * Tetracyclines* Lignocaine* Quinidine* Valproate * Tolbutamide* Disopyramide* Verapamil* Phenytoin * Warfarin* Imipramine * In nephrotic syndrome and other conditions causing hypoproteinemia, protein binding will be altered.* Morphine is not a plasma protein bound drug ->> in nephrotic syndrome there is no effect on protein binding.